Which of the following converts Pri-miRNA to pre-mi RNA
1. Dicer
2. Drosha
3. RISC
4. Exonuclease

Correct answer: 2. Drosha

Explanation: Pri-mi RNA is converted to Pre-mi RNA by Drosha.
It belongs to Ribonuclease III endonuclease family.
Refer byte for more details